Alzheimer's Disease is associated with :
1. Delerium
2. Delusion
3. Dementia
4. Depression

Correct answer: 3. Dementia

Explanation: Answer is C (Dementia): Alzheimer's Disease is the most common cause of Dementia in elderly.Clinically, AD most often presents with subtle onset of memory loss followed by slowly progressive dementia that has a course of several years.